Treatment of choice of acute migraine is -
1. Ergotamine
2. Sumatriptan
3. Propranolol
4. Paracetamol

Correct answer: 2. Sumatriptan

Explanation: Ans. is 'b' i.e., Sumatriptan o Severe migraine attacks should be treated with a triptan (eg. sumatriptan). In contrast to symptomatic treat ment, triptans are best used during estabilished headache phase of the acute attack.